According to Cawood and Howell, a depression with cup shaped surface of edentulous atrophic maxilla is classified as
1. Class III
2. Class IV
3. Class V
4. Class VI

Correct answer: 4. Class VI